Most common site for carcinoma pharynx in females suffering from plummer vinson syndrome is -
1. Post cricoid region
2. Posterior wall
3. Lateral wall
4. Pyriformis fossa

Correct answer: 1. Post cricoid region

Explanation: Ans. is 'a' i.e.. Post cricoid Plummer-Vinson syndromeo Plummer-Vinson syndrome, also known as Brown-Keily-Paterson syndrome or sederopenic dysphagia, seen in middle aged edentulous women.o The plummer Vinsion Paterson Brown Kelly Syndrome is characterized by: -DysphagiaChronic iron deficiency> anemiaAtrophic oral mucosa and glossitisBrittle, spoon-shaped fingernails (Koilonychia)o The cause of dysphagia is usually a cervical esophageal web, but abnormal pharyngeal and esophageal motility- may play a role.o The syndrome charactersticallv occurs in middle aged edentulous (without teeth) women.o It is a premalignant lesion. Approximately 10% of patient develop squamous cell Ca of esophagus, oral cavity or the hypopharynx.o As iron-deficiency anemia is a common finding, it is also known as sideropenic dysphagia.o Carcinoma develops in post-cricoid region.